Light requirement in watch manufacturing company is -
1. 2000-3000 Lux
2. 5000-10000 Lux
3. 10000-20000 Lux
4. 50000 Lux

Correct answer: 1. 2000-3000 Lux

Explanation: The recommended illumination (IES Code)in watch manufacturing company is 2000-3000 lux Rule of thumb is that the illumination must be 30 times higher the level at which ask can be just done. Parks textbook of preventive and social medicine.K Park. Edition 23.page no:741.table2.